When the economic benefits of any programme are compared with the cost of the programme, it is called as
1. Cost benefit analysis
2. Cost effective analysis
3. Cost accounting
4. Input Output analysis

Correct answer: 1. Cost benefit analysis

Explanation: Cost-benefit analysis, in which benefits are compared to cost of the program. The benefits are expressed in monetary termsThe main drawback with this technique is that benefits in the health field, as a result of a particular programme, cannot always be expressed in monetary terms.Park 23e pg:871